Regarding NK cells, FALSE statement is:
1. It is activated by IL-2
2. They express inhibitory receptors that recognize MHC class I
3. It is a variant of large lymphocyte
4. There is antibody induced proliferation of NK cells

Correct answer: 4. There is antibody induced proliferation of NK cells

Explanation: Antibodies do not induce proliferation of NK cells. NK cells can kill virus infected cells without antibodies, but IgG antibody can enhance their effectiveness, a process called antibody dependent cellular cytotoxicity. Important features of NK cells: Are large granular lymphocytes They lack T cell receptor, CD 3 proteins, and surface IgM and IgD Thymus is not required for its development Normal numbers of NK cells are found in patients with SCID They kill virus infected cells and cancer cells Killing is non specific and is not dependent on foreign antigen presentation by class I or II MHC proteins They produce gamma interferon that activates macrophages to kill ingested bacteria NK cells have receptors that detect the presence of class I MHC proteins on the cell surface. If a cell displays sufficient class I MHC proteins, that cell is not killed by the NK cell. Ref: Text Book of Microbilogy By Ananthanarayan, 8th Edition, Page 131 ; Robbins Basic Pathology, Page 83 ; Harrisons Principles of Internal Medicine, 14th Edition, Page 1754, 15th Edition, Page 1810